A HIV patient presents with cough for 10 days. Sputum culture with SDA reveals broad budding yeast with thick mucoid wall. Diagnosis:
1. Blastomycosis
2. Histoplasmosis
3. Coccidiomycosis
4. Penicillium marneffi

Correct answer: 1. Blastomycosis

Explanation: Microscopic pictures shows broad budding yeast with figure of 8 appearence seen in Blastomycosis. Blastomycosis can present in one of the following ways: a flu-like illness with fever, chills, arthralgia(joint pain), myalgia(muscle pain), headache, and a non productive cough which resolves within days. skin lesions, usually asymptomatic, can be verrucous (wart-like) or ulcerated with small pustules at the margins. bone lytic lesions can cause bone or joint pain. 40% immunocompromised individuals have CNS involvement and present as brain abscess, epidural abscess or meningitis. Histoplasmosis - tiny oval yeast cell with narrow based budding Coccidiomycosis - spherules are seen(large sac filled with endospore) Penicillium marneffi - oval or elliptical cell with central septation